Neural tube defect is due to deficiency of:
1. Vitamin B12
2. Thiamine
3. Folic acid
4. Riboflavin

Correct answer: 3. Folic acid

Explanation: Ans: C i.e. Folic acid Folic acid supplementation beginning 1 month before conception to about 12 weeks of pregnancy has reduced the incidence of neural tube defects significantly (85%).